A farmer presents with multiple discharging sinuses in the leg not responding to antibiotics. Most likely diagnosis is
1. Madurella
2. Actinomycetoma
3. Nocardia
4. Sporothrix

Correct answer: 1. Madurella

Explanation: Actinomycotic mycetoma usually respond well to sulphonamides and antibiotics, but mycotic mycetoma may require amputation. Sporothrix causes sporotrichosis is a nodular ulcerating disease of the skin and subcutaneous disease. Ref: Textbook of Microbiology, Ananthanarayan and Paniker; 9th edition